X-ray appearance of osteosarcoma are all except-
1. Periosteal reaction
2. Codman's triangle
3. Soap-bubble
4. Sunray appearance

Correct answer: 3. Soap-bubble